Which of the following is the most penetration beam –
1. Electron beam
2. 5 MV photons
3. 18MV photons
4. Proton beam

Correct answer: 3. 18MV photons

Explanation: Gamma rays (high energy photons) have the highest penetrating power. Therefore, 18 MeV photons will have high penetrating power.